All are true about Vitamin C except:-
1. It is water soluble vitamin
2. Most sensitive to heat
3. Potent antioxidant
4. Reduces ferrous iron to ferric iron

Correct answer: 4. Reduces ferrous iron to ferric iron

Explanation: Vitamin C( Ascorbic acid): Water soluble vitamin. Potent antioxidant. Required for formation of collagen. Reduces ferric iron to ferrous iron thus increasing iron absorption. The most sensitive of all vitamins to heat. Deficiency =Scurvy - swollen and bleeding gums, S/C bruising, bleeding into the skin and joints, delayed wound healing, anaemia and weakness.